A Dentin 'Primer'?
1. Etches the dentin
2. It increases the surface energy & wets the dentin surface
3. Removes the smear layer
4. Conditions the dentin

Correct answer: 2. It increases the surface energy & wets the dentin surface